In the case of dogbite the biting animal should be observed for atleast -
1. 5 days
2. 10 days
3. 15 days
4. 3 weeks

Correct answer: 2. 10 days

Explanation: Post exposure prophylaxis may be discontinued if the suspected animal is proved by appropriate laboratory examination to be free of rabies or in the case of domestic dogs , cats or ferrats , the animals remain healthy throughout a 10 day observation period starting from the date of bite Reference; Park's Textbook of preventive and social medicine,24th edition.Pg no. 297